Which of the following is known as Munchausen Syndrome?
1. Factitious Disorder
2. Mood Disorder
3. Somatoform Disorder
4. PTSD

Correct answer: 1. Factitious Disorder

Explanation: Ans. A Factitious disorderFactitious disorder is also known as Munchausen syndromeRichard Asher coined term "Munchausen Syndrome"Named after Baron Hieronymus Friedrich Frei Herr von Munchausen (1720-1797), Russian cavalry officer.* Distort history & make stories (pseudologia fantastica) to convince doctors.* Often from medical & related fields & have understanding of s/s of various disorders 2/3rd of pts are male.* Factitious disorders with physical signs and symptoms are mostly women 3:1